Which of the following statement is not true regarding dobutamine
1. Agonist of D1 and D2 receptors
2. Derivative of dopamine
3. Selective beta-agonistic action
4. Reduced chances of arrhythmia than adrenaline

Correct answer: 1. Agonist of D1 and D2 receptors

Explanation: Dobutamine is a derivative of D.A but not a D1 or D2 receptor agonist. It is a selective beta 1 agonist. It so less arrhythmogenic than adrenaline. From essential of medical pharmacology K D Tripati 7th edition Page no 134